Most common cause of hypercalcemic crisis is :
1. Parathyroid adenoma
2. Parathyroid hyperplasia
3. Malignancy
4. Paget's disease

Correct answer: 3. Malignancy

Explanation: A hypercalcaemiccrisisis an emergency situation with a severehypercalcaemia, generally above approximately 14 mg/dL (or 3.5 mmol/l)The most common cause is hypercalcemia of malignancy, although granulomatous diseases, previously undetected primary hyperparathyroidism, medication-induced hypercalcemia, and a few rarer causes may result in this endocrine emergency as well. Stepwise approach for management of Hypercalcemic crisis Step 1: Confirm the diagnosis. Step 2: Restore normal hydration - Through IV fluids(200-500 ml/hr of NS )should be administered to maintain a urine output of >100 ml/hr. Step 3: Use of loop diuretics to be limited to hypercalcemic crisis associated with heart failure or renal failure. Calcitonin or bisphosphonates-Preferred drugs for hypercalcemic management after restoring normal hydration with IV fluids.